Odorant molecule binds to which receptors?
1. C AMP
2. G protein coupled membrane receptors
3. JAK kinase pathway
4. NF receptors

Correct answer: 2. G protein coupled membrane receptors

Explanation: Ans. is 'b' i.e., G protein coupled membrane receptors [Rel Ganong 23'd/e ch 15; Guyton 12h/e p. 649)Odour receptors are G-protein coupled receptors.Receptor-ligand interaction (adsorption of odorant molecules to the cilia of receptors) results in opening of Na+ channel through second messenger cAMP.Opening of Na* channels result in Na* influx and generation of action potentials.